Portal circulation is seen in which of the following endocrine gland :
1. Pineal gland
2. Hypophysis cerebri
3. Pancreas
4. Ovary

Correct answer: 2. Hypophysis cerebri

Explanation: B i.e. Hypophysis cerebri